Nonselective beta adrenergic antagonist is
1. Nodalol
2. Atenolol
3. Bisoprolol
4. Esmolol

Correct answer: 1. Nodalol

Explanation: Ans. is 'a' i.e., Nodalol